A 43 year-old woman presents with several year history of progressive abdominal colic and constipation. Colonic biopsy stained with Congo Red and polarizing microscopy reveals the following appearance. This is due to which of the following protein properties?
1. Ability to bind to oxygen
2. Beta pleated sheet tertiary structure
3. Electrophoretic mobility
4. Hydroxyproline content

Correct answer: 2. Beta pleated sheet tertiary structure

Explanation: Staining characteristics of amyloid Stain on gross H&E Metachromatic stains (Rosaniline dyes) Congo red & polarised light Flourescent stains Immunohistochemistry Non-specific stains Staining characteristics of amyloid Congo red & polarised light For amyloid of all types Used on both gross & microscopy Pink red color Stained section in polarised light - apple green birefringence d/t ss pleated sheet